The sigma (σ) subunit of prokaryotic RNA polymerase
1. Binds the antibiotic rifampicin
2. Is inhibited by α-amanitin
3. Specifically recognizes the promoter site
4. Is part of the core enzyme

Correct answer: 3. Specifically recognizes the promoter site

Explanation: Sigma (σ) factor recognizes promotor sequences on the DNA template. Different factors recognize a different group of genes.
α-amanitin inhibit RNA polymerase II of eukaryotes.
Rifampicin inhibits β-subunit of RNA polymerase.
Sigma unit is not a part of core enzyme; it is a part of holoenzyme.

RNA polymerase (holoenzyme) = core enzyme (2α, β,( β’) + sigma (σ) subunit